Satiety center is located in:
1. Lateral hypothalamic area
2. Perifornical region
3. Ventromedial nucleus of hypothalamus
4. Dorsomedial nucleus of hypothalamus

Correct answer: 3. Ventromedial nucleus of hypothalamus

Explanation: Ans. C Ventromedial nucleus of hypothalamusRegulators of Hunger. Satiety center is located in Ventromedial nucleus of hypothalamus